Manic-depressive illness.Which is the the most appropriate pharmacotherapeutic agent?
1. Triazolam
2. Tranylcypromine
3. Methylphenidate
4. Lithium carbonate

Correct answer: 4. Lithium carbonate

Explanation: Lithium carbonate prevents the mood swings characteristic of manic-depressive illness and is used in long-term therapy. Triazolam is a benzodiazepine used as a hypnotic to facilitate sleep in insomnia characterized by difficulty "falling" asleep. Methylphenidate is an amphetamine congener with a paradoxical calming effect in children with attention-deficit hyperactivity disorder. Ref: Ropper A.H., Samuels M.A. (2009). Chapter 57. Depression and Bipolar Disease. In A.H. Ropper, M.A. Samuels (Eds), Adams and Victor's Principles of Neurology, 9e.